Erythrocyte Sedimentation Rate is zero in-
1. Abetalipoproteinemia
2. Afibrinogenemia
3. Asplenia
4. Aplastic anemia

Correct answer: 2. Afibrinogenemia

Explanation: Ans. is 'b' i.e., Afibrinogenemia